Which is electrical synapse?
1. Motor end plate
2. Gap junction
3. Tight junctions
4. Pores of kahn

Correct answer: 2. Gap junction

Explanation: In electrical synapses, the membranes of the presynaptic and postsynaptic neurons come close together, and gap junctions form between the cells.(REF: GANONG'S REVIEW OF MEDICAL PHYSIOLOGY 23rd EDITION page no.115)